What is the normal orientation of humeral head
1. Retroversion of 80 degrees
2. Retroversion of 30 degrees
3. Anteversion of 15 degrees
4. Anteversion of 50 degrees

Correct answer: 2. Retroversion of 30 degrees

Explanation: Normal humeral retroversion is 25-35 degreesNormal femoral anteversion is 8-15 degrees(Refer: BD Chaurasia, Textbook of Human Anatomy, Vol 1, 6th edition)